Sphenopareital sinus drains into?
1. Saggital sinus
2. Transverse sinus
3. Cavernous sinus
4. Internal juglar vein

Correct answer: 3. Cavernous sinus

Explanation: Sphenoparietal sinus and the frontal trunk of the middle meningeal vein may drain either into the pterygoid plexus through the foramen ovale or into the sphenoparietal or cavernous sinus. Ref: BD Chaurasia's HUMAN ANATOMY, Volume 3, 4th edition.